Propagative?
1. Plague
2. Filaria
3. Malaria
4. All

Correct answer: 1. Plague

Explanation: Ans. is 'a1 i.e.. Plague o Propagative-Plague bacilli in rat fleaso Cyclo-developmental-Micorfllaria in mosquito,o Cyclo-propagative-Malarial parasite in mosquito.